Type B adverse drug reaction
1. Augmented effect of the drug
2. Allergic effect of the drug
3. Effect seen on chronic use of drug
4. Delayed effect of the drug

Correct answer: 2. Allergic effect of the drug

Explanation: Adverse drug reactions (ADRs) are increasingly common and are a significant cause of morbidity and mortality. ... Type B reactions are idiosyncratic, bizarre or novel responses that cannot be predicted from the known pharmacology of adrug and are associated with low morbidity and high mortality. Refer KDT 7/e p83